Jarisch–Herxheimer reaction is seen in syphilis with :
1. Tetracyclines
2. Penicillins
3. Co-trimoxazole
4. Sulfonamides

Correct answer: 2. Penicillins